In mandibular deciduous tooth with poor prognosis, alveolar
abscess and necrotic pulp, the treatment of choice:
1. Extraction
2. RCT
3. Apicoectomy
4. Drainage of abscess

Correct answer: 1. Extraction

Explanation: In mandibular deciduous tooth with poor prognosis, alveolar abscess and necrotic pulp, the treatment of choice is extraction.